Alcohol dehydrogenase is a/an -
1. Transferase
2. Hydrolase
3. Ligase
4. Oxidoreductase

Correct answer: 4. Oxidoreductase

Explanation: Ans. is 'd' i.e., Oxidoreductase o Alcohol dehydrogenase is a NAD-linked dehydrogenase (oxidoreductase)o It catalyzes the oxidation of ethanol to acetaldehyde.